Which of the following does not cause conjuctivitisa
1. Adenovirus
2. Enterovirus
3. Coxsackie virus
4. None

Correct answer: 4. None

Explanation: Ans. is 'None'